CA 125 upper limit of normal is -
1. 25U/ml
2. 30U/ml
3. 35 U/ml
4. 40U/ml

Correct answer: 3. 35 U/ml

Explanation: Ans. is 'c' i.e., 35 U/ml o Serum value of 35 U/ml of CA 125 repreents 1 % of the healthy females and is often accepted as the upper limit of normal in clinical practice.